True about carotid body tumor-a) Arises from pharyngeal wallb) Arises from baroreceptor cells.c) Commonly seen in high altitude habitantsd) 10% have family historye) FNAC is diagnostic
1. ab
2. cd
3. bd
4. ac

Correct answer: 2. cd

Explanation: Carotid body tumors arise from chemoreceptor cells of the carotid body (Baroreceptor cells are found in carotid sinus)
Since the chemoreceptor cells are stimulated by decreased arterial oxygen tension, a higher incidence of carotid body tumors is noted in oxygen deprived individuals i.e. cyanotic heart ds, chronic hypoxia in high altitude inhabitants.
According to Bailey 25/e p732- Family history is seen in -10% patients. (According to Schwartz its 35%)
FNAC & biopsy are contraindicated because of the highly vascular nature of the tumor.